Circumcorneal vascularization is observed in deficiency of
1. Vitamin D
2. Thiamine
3. Riboflavin
4. Biotin

Correct answer: 3. Riboflavin

Explanation: Ans. c. Riboflavin ye changes in Riboflavin Deficiency Riboflavin deficiency leads to superficial interstitial keratitis and corneal vascularization In the earlier changes, the superficial layers of the cornea are invaded by the capillaries. Interstitial inflammatory infiltration and exudation follow, producing opacities and sometimes, ulcerations of corneal surface. Other Changes of Riboflavin Deficiency Cheilosis is usually the first and most characteristic sign of riboflavin deficiency. It begins as areas of pallor at the angles of the mouth. Later, cracks or fissures may appear, radiating from the corners of the mouth, which tend to become secondarily infected. With glossitis, the tongue becomes atrophic, taking on a magenta hue strongly resembling the red-blue colour of cyanosis. A greasy, scaling dermatitis over the nasolabial folds may extend into a butterfly distribution to involve the cheeks and skin about the ears. Scrotal and vulvar lesions are common.